Which of the following drugs is to treat postoperative shivering?
1. Ondansetron
2. Diclofenac Sodium
3. Pethidine
4. Paracetamol

Correct answer: 3. Pethidine

Explanation: Ans. is 'c' i.e., Pethidine "Unlike other opioid agonists, meperidine (pethidine) frequently terminates shivering regardless of the cause". - MorganPost - anaesthesia shiveringo Shivering is a protective mechanism against heat loss caused by anaesthesia. As shivering is controlled by hypothalamus, it can be abolished by inhibition of hypothalamus.o Shivering increases metabolic rate and increases O2 consumption to 100-200% (1-2 times).o Post - anaesthesia shivering occurs most commonly with halothane ie. Halothane shakes.o Treatment:- Opioid agonist mepridine (pethidine) frequently terminates the shivering regardless of the cause. Chlorpromazine and butorphanol are also effective. Other drugs which can be used are clonidine, ketanserin, tramadol, physostigmine, nefopam, dexmedetamidine & Magnesium sulfate. These agents have specific action on thermoregulatory center in the hypothalamus. As oxygen consumption increases during shivering, supplemental oxygen therapy (high FiO2) is mandatory.